Paralysis of upper eyelid is due to paralysis of:
1. III
2. IV
3. V
4. VII

Correct answer: 1. III

Explanation: Nerve Supply of upper lid
The upper eyelid is supplied by the lacrimal, supraorbital,  supratrochlear and infratrochlear  nerves
from lateral to medial side. 
The lower  eyelid is supplied by the infraorbital and infratrochlear  nerves.
Ptosis or drooping of upper eyelid due to paralysis of voluntary  part of levator  palpebrae  superiorismuscle (supplied by occulomotor nerve).